Nerve injured in fracture of medial epicondyle of humerus
1. Anterior interosseous nerve
2. Median nerve
3. Ulnar nerve
4. Radial nerve

Correct answer: 3. Ulnar nerve

Explanation: It is more commonly injured than the lateral epicondyle, because the epiphysis of the medial epicondyle appears early and fuses late with the main epiphysis of the lower humerus. This fracture is commonly associated with posterior dislocation of the elbow. It may be associated with an ulnar nerve injury. Ref essential orthopaedic, maheshwari and mhaskar 9th ed p 105